Hookworm infestation is considered a major public health problem if Chandler's index is:
1. >100
2. >200
3. >300
4. >400

Correct answer: 3. >300

Explanation: Chandler index Significance < 200 Not of much significance 200-250 Potential danger 250-300 Minor public health problem >300 Major public health problem Ref: Park 21st edition, page 221. Chapter: epidemiology of communicable diseases.